Which of the following drugs is not used in Juvenile Myoclonic Epilepsy (JME):
1. Topiramate
2. Zonisamide
3. Carbamezapine
4. Valproate

Correct answer: 3. Carbamezapine

Explanation: Answer is C (Carbamezapine): Carbamezapine is not indicated in the treatment of Juvenile Myoclonic Epilepsy. Carbamezapine (and phenytoin) may aggravate myoclonus in juvenile myoclonic epilepsy. Antiepileptic Drugs in the treatment sequence of Juvenile Myoclonic Epilepsy (JME) First choice Valproate, Lamotrigine Second choice Levetivacetam, Clonazepam Consider Topiramate, Zonisamide, Pnenobarbitol, Primidone (Felbamate may also be effective againts JME) Taken jrom 'Current Management in Child Neurology' by Maria 4th/127, 163 Note Carbamezapine and Phenytoindeg may aggravate myoclonus in juvenile myoclonic epilepsy.